Leucopenia is not seen in:
1. Viral infection
2. Pyogenic bacterial infection
3. Malnutrition
4. Enteric fever

Correct answer: 2. Pyogenic bacterial infection

Explanation: Ans. B: Pyogenic bacterial infectionPyogenic bacterial infection causes neutrophilic leukocytosisLeucopeniaLow white cell counts maybe due to a recent infection such as a cold/flu.It can also be associated with chemotherapy, radiation therapy, myelofibrosis and aplastic anemia.HIV and AIDS are also a threat to white cells.Other causes of low white blood cell count include: Influenza, systemic lupus erythematosus, Hodgkin's lymphoma, some types of cancer, typhoid, malaria, tuberculosis, dengue, Rickettsial infections, enlargement of the spleen, folate deficiencies, psittacosis and sepsis.Many other causes exist, such as a deficiency in certain minerals such as copper and zinc.Medications which can cause leukopenia include- Clozapine- Immunosuppressive drugs, such as sirolimus, mycophenolate mofetil, tacrolimus, and cyclosporine. Interferons used to treat multiple sclerosis, can also cause leukopenia.- The antidepressant and smoking addiction treatment drug (Bupropion HCL) can also cause leukopenia with long-term use.- Minocycline, is also known to cause leukopenia.- Divalproex sodium or valproic acidDecreased white blood cell count may be present in cases of arsenic toxicity- Lamotrigine, has been associated with a decrease in white blood cell countPseudoleukopeniaIt can develop upon the onset of infection.The leukocytes (predominately neutrophils, responding to injury first) are marginalized in the blood vessels so that they can scan for the site of infection.This means that even though there is increased WBC production, it will appear as though it is low from a blood sample, since the blood sample is of core blood and does not include the marginalized leukocytes.